Indication for none vital pulpotomy:
1. None negotiable canal.
2. Limited patient cooperation.
3. Both.
4. None.

Correct answer: 3. Both.